Soft tissue profile of a thumbsucking patient is
1. convex
2. concave
3. normal
4. anterior divergent

Correct answer: 1. convex